Vegetable fat differs from animal oil in being ?
1. More saturated
2. More stable
3. More atherosclerotic
4. Contains less fat soluble vitamin

Correct answer: 4. Contains less fat soluble vitamin

Explanation: Ans. is 'd' i.e., Contains less fat soluble vitamins Vegetable fats are more unsaturated than animal fats, PUFA is found mostly in vegetable fats. However, there are exceptions. as JO,- example coconut and palm oils although vegetable oils, have an extremely high percentage of saturated fatty acids. On the other hand , fish oil contain good percentage of PUPA o Vegetable fats are less stable. They contain high no. of unsaturated bonds which undergo spontaneous oxidation at the double bond forming aldehydes,ketones and resins. o Vegetable fats are less atherosclerotic; in fact PUFA have a favourable effect on serum lipid profile. They decrease LDL and increase HDL ( good cholestrol ).Essential fatty acids ( high percentage in vegetable fat ) decrease the platelet adhesiveness. o Vegetable fat contains less fat soluble vitamins ( A,D,E & K vitamin). For this reason Vanaspati Ghee is fortified with vit. A *& 1) by government regulation (DALDA)